A 14 yrs old girl on exposure to cold has pallor of extremities followed by pain and cyanosis. In later ages of life she is prone to develop?
1. Systemic lupus erythematosis
2. Scleroderma
3. Rheumatoid arthritis
4. Hisiocytosis

Correct answer: 2. Scleroderma